A 15-year-old boy is injured while playing cricket. X-rays of the leg rule out of a possible fracture. The radiologist reports the boy has an evidence of aggressive bone tumor with both bone destruction and soft tissue mass. The bone biopsy reveals a bone cancer with neural differentiation. Which of the following is the most likely diagnosis?
1. Chondrablastoma
2. Ewing's sarcoma
3. Neuroblastoma
4. Osteosarcoma

Correct answer: 2. Ewing's sarcoma

Explanation: Neural differentiation is seen in Ewing's sarcoma due to which it is now being labeled as a tumor of neuroectodermal origin.
Ewing's sarcoma usually seen in the 1st and Find decades (10 to 15 yrs age group), is an aggressive tumor. Fundamental radiologic findings are osteolysis, cortical erosion, periosteal reaction and a soft tissue mass.